Maintenance of airway during laryngectomy in a patient with carcinoma of the larynx is best done by -
1. Tracheostomy
2. Laryngeal mask airway
3. Laryngeal tube
4. Combitube

Correct answer: 1. Tracheostomy

Explanation: During laryngectomy, airway of a patient is maintained by tracheostomy